A child presents with LVH and pulmonary complications. ECG shows left axis deviation. Most likely diagnosis is:
1. TOF
2. Tricuspid atresia
3. TAPVC
4. VSD

Correct answer: 2. Tricuspid atresia

Explanation: Answer is B (Tricuspid Atresia) Presence of Left l elm:calor hypertrophy and left axis deviation on ECG in a child suggests a diagnosis of Trocuyid atresia. Tricuspid Atresia Congenital absence of tricuspid valve is called tricuspid atresia. Haemodynamics: The inflow portion of R. V. is hypoplastice The systemic venous blood coming to R.A. exits by way of a patent foramen ovale or an ASD. e A VSD provides communication between L. V. and outflow portion of R.V.e The L. V. thus maintains both the systemic and pulmonary circulation.e The saturation of blood in the pulmonary artery and aorta is identical.e The pulmonary blood flow is dependent on size of VSDe The VSD in tricuspid atresia is always a muscular defect. Features suggestive of tricuspid atresia : L. V. type of apical impulse Prominent large 'a' waves Enlarged liver with presystolic pulsations (a waves)e ECG characterised by Left axis deviation and Left ventricular hypertrophy. Clinical features : (are similar to Fallot's tetralogye) Child is cyanotic from birth Anoxic spells and squatting may be presente